Which of the following drug is an inverse agonist at H3 receptors used for Narcolepsy?
1. Dexmedetomidine
2. Pitolisant
3. Icatibont
4. Secukinumab

Correct answer: 2. Pitolisant

Explanation: Pitolisant (Tiprolisant) is a inverse agonist of H3 receptors approved for Narcolepsy. H3 receptors are presynaptic receptors and inverse agonist will lead to increased histamine release and promote wakefulness.